The L or D form of a sugar is determined by its relation to:
1. Fructose
2. Glycogen
3. Glyceraldehyde
4. Glucose

Correct answer: 3. Glyceraldehyde

Explanation: An optical isomer can be named by the spatial configuration of its atoms.The D/L system does this by relating the molecule to glyceraldehyde.Glyceraldehyde is chiral itself, and its two isomers are labeled D and L